Delusions are characteristically seen in
1. Schziphrenia
2. Delirium
3. Dementia
4. Depression

Correct answer: 1. Schziphrenia

Explanation: A i.e. Schizophrenia